Rupture of the male urethra immediately inferior to the urogenital diaphragm leads to extravasations of urine into the
1. superficial perineal space
2. Deep perineal space
3. Ischiorectal fossa
4. extraperitoneal space

Correct answer: 1. superficial perineal space

Explanation: Tmmediately inferior to the urogenital diaphragm in the male, the urethra enters the bulb of the penis within the superficial perineal space. Also within this space are the crura of the penis, the ischiocavernosus muscles, the bulbospongiosus iriuscie, and the superficial transverse perineal muscle. The superficial perineal space is bound inferiorly by Colic's fascia. Colic's fascia is attached to the ischiopubic rami laterally and the posterior border of the urogenital diaphragm. When urine extravasates into the superficial perineal space, it can pass into the anterior abdominal wall, the penis, and the scrotum.